Which of the following muscles plays an important role in lifting the left foot off the ground while walking?
1. Left gluteus medius
2. Left gluteus maximus
3. Right adductor longus
4. Right gluteus medius

Correct answer: 4. Right gluteus medius

Explanation: The right gluteus medius and the right gluteus minimus lift the pelvis so that the left lower limb is raised, thus permitting the left foot to be advanced forward clear of the ground.